Thalasemia is inherited as an?
1. AR
2. AD
3. XR
4. XD

Correct answer: 1. AR

Explanation: Ans. is 'a' i.e., AR * Thalasemia is inherited an autosomal recessive disorder.Autosomal recessive disordersMetabolicHematologicalEndocrineSkeletalNervous* Cystic fibrosis* Phenyl ketonuria* Galactosemia* Homocystinuria* Lysosomal storage dis.* a1;-antitrypsin deficiency* Wilson disease* Hemochromatosis* Glycogen storage disorders* Acrodermatitis enteropathica* Sickle cell anemia* Thalassemias* Congenital adrenal hyperplasia* Albinism* EDS (some variants)* Alkaptonuria* Friedreich ataxia* Spinal muscular atrophy* Neurogenic muscular atrophies* Ataxia Telegiectasia